Rokitansky Kuster Hauser syndrome ta associated with :
1. Ovarian agenesis
2. Absent fallopian tube
3. Vaginal atresia
4. Bicornuate uterus

Correct answer: 3. Vaginal atresia

Explanation: Vaginal atresia Friends MRKH syndrome is associated with vaginal atresia - as is suggested by "A more common form of vaginal atresia is congenital absence of both uterus and vagina which is also referred to as mullerian aplasia. mullarian agensis or Mayer Rokinstansky - Kuster Hauser Syndrome." ... Williams Gyane. 1/e, p 416 I know some of you might be thinking option 'b' i.e. absent fallopian tubes is also correct. Now to understand why this option is not absolutely correct lets go back to the development of mullarian ducts -Mullerian ducts grow downward therefore there will be cases where there will be well formed abdominal ostia associated with hypoplasia or absence of the remainder of the tubes, uterus and vagina or the tubes and uteras_ Tay be present and the vagina absent The converse is not true as the ducts grow downwards so vaginal atresia has to be present always in MRKH syndrome therefore option 'c' seems more correct.deg